Condition which does not cause metabolic acidosis
1. Renal failure
2. Pyloric stenosis
3. Biliary fistula
4. Ureterosigmoidostomy

Correct answer: 2. Pyloric stenosis

Explanation: Pyloric stenosis causes Metabolic alkalosis. Rest all causes metabolic acidosis.